Which of the following statements about "Simple Randam sampling" is true-
1. Every element in the population has an equal probability of being included
2. Sampling is based on similar characteristics
3. Suitable for large heterogenous population
4. Complete list of items within the sampling frame is not required

Correct answer: 1. Every element in the population has an equal probability of being included